Dysphonia plica ventricularis is produced from:
1. Vocal cord
2. Ventricular fold
3. Arytenoid
4. Epiglottis

Correct answer: 2. Ventricular fold

Explanation: Ans: b (Ventricular fold) Ref: Dhingra, 3rd ed, p. 379 & 4th ed, p. 289In dysphonia plica ventricularis (ventricular dysphonia) voice is produced by ventricular fold which take over the function of true vocal cords. Voice is rough, low pitched and unpleasant.Aetiology:1. Functional2. Secondary to impaired function of vocal cord (paralysis, fixation, surgical excision.tumour)Diagnosis:On direct laryngoscopy false cords are seen to approximate partially or completely and obscure the view of true cords on phonationTreatment:1. VD secondary to laryngeal disorders -- difficult to treat2. Functional VD -- voice therapy & psychological counselling